In forceful inversion of foot, fracture of the tuberosity of 5th metatarsal is due to pull exerted by which tendon?
1. Peroneus longus
2. Peroneus brevis
3. Peroneus tertius
4. Extensor digitorum

Correct answer: 2. Peroneus brevis

Explanation: Tuberosity or tubercle at the base of 5th metatarsal gives attachment to the peroneus brevis tendon.The classic Jones fracture is a transverse fracture of the fifth metatarsal at the metaphyseal-diaphyseal junction, just distal to the fourth and fifth intermetatarsal joint. It occurs when a force is applied to a plantarflexed and inverted foot. Peroneus brevis muscle attaches proximally to the upper surface of the fibula; distally, it attaches to the base of metatarsal 5. The fibularis brevis muscle plantar flexes and everts the foot. The superficial fibular (peroneal) nerve (L5, S1, S2) innervates this muscle. Ref: Morton D.A., Foreman K.B., Albertine K.H. (2011). Chapter 37. Leg. In D.A. Morton, K.B. Foreman, K.H. Albertine (Eds), The Big Picture: Gross Anatomy